Management of Typical Febrile seizures include except
1. Sponging
2. Paracetamol Ibuprofen
3. Intermittent Diazepam
4. Prophylactic phenobarbitone

Correct answer: 4. Prophylactic phenobarbitone

Explanation: Sponging, paracetamol ibuprofen ,intermittent diazepam are treated for febrile seizures Most children with typical febrile seizures do not require specific treatment except for vigorous antipyretic therapy during febrile illnesses. Children experiencing excessively frequent or prolonged febrile seizures may be treated using diazepam 0.5mg/kg rectally during high fevers or prophylactically using at standard doses.
Ref : Ghai pediatrics eighth edition pg no 556